Suprabony pockets are also known as
1. Infrabony
2. Intra-alveolar
3. Subcrestal
4. Supracrestal/Supra-alveolar

Correct answer: 4. Supracrestal/Supra-alveolar